A 14 year old girl who has lost her parents came to OPD with depressive symptoms. Doctor felt extremely sad and was so pitiful that he decided to adopt her. This is an example for:
1. Positive transference
2. Negative transference
3. Positive counter transference
4. Negative counter transference

Correct answer: 3. Positive counter transference

Explanation: Counter transference is the feeling of doctor toward a patient and here the doctor had positive feelings toward her suggestive of positive counter transference.